Drug causing peripheral neuropathy is :
1. Zalcitabine
2. Isoniazid
3. Nitrofurantoin
4. All of the above

Correct answer: 4. All of the above